The following insulin can be given intravenously?
1. Protamine zinc insulin
2. Ultra lente insulin
3. Semi lente insulin
4. Regular insulin

Correct answer: 4. Regular insulin

Explanation: Ans. is 'd' i.e., Regular insulin o All preparations are administered by S.C. route except regular insulin which can be given